In venturi mask maximum 02 concentration attained is
1. 90%
2. 100%
3. 60%
4. 80%

Correct answer: 3. 60%

Explanation: In Venturi mask normal O2 concentration is between 24 and 60% . In non breathing masks oxygen saturation is between 80 and 90%.